The fatal period of Aconite is usually :
1. 5-10 minutes
2. 15-30 minutes
3. 1-5 hours
4. 12-48 hours

Correct answer: 3. 1-5 hours

Explanation: C i.e. 1 - 5 hours Aconite causes hypotension (not hypertension)Q, cardiac arrhythmias (initial tachycardia f/b bradycardia) and AV block. And the fatal period is 2-6 hours Q.